All of the following drugs are used for management of post partum haemorrhage, EXCEPT:
1. Oxytocin
2. Misoprostol
3. Prostaglandin
4. Mifepristone

Correct answer: 4. Mifepristone

Explanation: Mifepristone is an analog of progestin acts as an antagonist blocking the effect of natural progesterone. It is used as a medical method of first trimester abortion. It is highly successful when used within It is not indicated in the treatment of post partum hemorrhage. Bleeding and bleeding disorders are a contraindication for Mifepristol. Ref: Textbook of Obstetrics By D.C.Dutta, 6th Edition, Pages 175, 416-418 ; Gomella L.G., Haist S.A. (2007). Chapter 22. Commonly Used Medications. In L.G. Gomella, S.A. Haist (Eds), Clinician's Pocket Reference: The Scut Monkey, 11e.